Angular pregnancy refers to:
1. Ectopic pregnancy of Interstitial part of FT
2. Intrauterine pregnancy
3. Heterotopic pregnancy
4. Ectopic pregnancy of broad ligament

Correct answer: 2. Intrauterine pregnancy

Explanation: Angular pregnancy : It is defined as pregnancy implanted in one of the lateral angles of uterine cavity It may progress to term Ref: Dutta Obs 9e pg 168.